All of the following are associated with low complement levels except:
1. Lupus nephritis
2. Mesangiocapillary glomerulonephritis
3. Diarrhea-associated hemolytic uremic syndrome
4. Post-infections glomerulonephritis

Correct answer: 3. Diarrhea-associated hemolytic uremic syndrome

Explanation: Nephritic syndrome associated withlow C3 : Immune complex glomerulonephritis Post streptococcal glomerulonephritis Lupus nephritis Cryoglobulinemia Bacterial endocarditis Shunt nephritis Membranoproliferative glomerulonephritis Crescenteric glomerulonephritis Idiopathic proliferative glomerulonephritis Atheroembolic renal disease Sepsis Acute Pancreatitis/ advanced liver disease